For GV Black class V cavities, the retainer of choice is
1. No. 212
2. No. 112
3. No. 132
4. No. 221

Correct answer: 1. No. 212